Molluscum contagiosum is a:
1. Bacteria
2. Fungus
3. Virus
4. Parasite

Correct answer: 3. Virus

Explanation: Ans. (c) VirusRef: Microbiology by Ananthanarayan and Paniker 8th ed. /443, 445* Moluscum contagiosum is a viral infection of skin which is caused by a virus, the moluscum contagiosum virus, from pox virus family.* The virus is contagious through direct contact.* The virus also can be spread by sexual contact and can occur in people with compromised immune systems.